Which is not a fungal infection?
1. Favus
2. Mycosis fungoides
3. Kerion
4. Piedra

Correct answer: 2. Mycosis fungoides

Explanation: Ref: Essentials in Dermatology, Rook's Dermatology Explanation:Mycosis fungoides is a type of cutaneous T cell lymphoma and has no connection to fungal infection. In fact, the term mycosis fungoides is a famous misnomer in dermatology.Favus and kerion are types of inflammatory tinea capitis caused by dermatophytes fungi.Other Fungal InfectionsDermatophytosesAffected AreaTinea capitisScalpTinea facieiFaceTinea barbaeBeard areaTinea corporisTrunkTinea crurisGroinTinea manuumHandsTinea unguiumNailsTinea pedisFeetOTHER RARE FUNGAL INFECTIONSPiedraAdherent deposits on the hair shafts.Black Piedra: Piedriae hortae.White Piedra: Tichosporon beigelii.Majocchi's GranulomaFollicular abscess.Boggy papules or plaques on legs/arms.Caused by T. rubrum or T mentagrophytes.Tinea IncognitoExtensive ringworm infection.Atypical appearance.Due to inappropriate use of topical corticosteroids.Candidal InfectionsIntertrigo.Oral thrush.Perleche: Erythema, Assuring, creamy exudates at angles of mouth.Paronychia.Erosio interdigitalis blastomycetica: Webspace infection.